Herpes zoster in geniculate ganglion causes?
1. Bell's palsy
2. Ramsay Hunt syndrome
3. Merkelson rosenthal syndrome
4. Herpes zoster opthalmicus

Correct answer: 2. Ramsay Hunt syndrome

Explanation: ANSWER: (B) Ramsay Hunt syndromeREF: Harrison's 17th ed chapter 371The Ramsay Hunt syndrome, caused by reactivation of herpes zoster in the geniculate ganglion, consists of a severe facial palsy associated with a vesicular eruption in the external auditory canal and sometimes in the pharynx and other parts of the cranial integument; often the eighthcranial nerve is affected as well